All are true regarding tetanus except
1. Transmission through contaminated wounds and injuries
2. More common in winters and dry weather
3. Reservoir is soil and intestines of humans and animals
4. No herd immunity or life long immunity

Correct answer: 2. More common in winters and dry weather

Explanation: Tetanus is characterized by tonic muscular spasm, commencing at the site of infection and, in all but the mildest cases, becoming generalized, involving the whole of the somatic muscular system. Punctured wounds are particularly vulnerable as they favor the growth of the anaerobic bacillus. Tetanus is more common in developing countries, where the climate is warm, and in rural areas where the soil is fertile and highly cultivated. Reference: Textbook of Microbiology; Anathanarayan and paniker's; 10th edition; Page no: 266